Hounsfield unit of CSF in ventricles is generally
1. -1000 HU
2. -100 HU
3. 0 HU
4. 70 HU

Correct answer: 3. 0 HU

Explanation: CSF/ water has HU of 0 and is taken as a reference value -1000 HU Is Air -100 HU is Fat 0 HU is CSF/Water 70 HU is acute bleed 130 HU is Contrast 200-250 HU is Calcifications above 400-1000 HU is cortical bone.